An HIV patient complains of visual distrubances, Fundal examination shows bilateral retinal exudates and perivascular haemorrhages. Which of the following viruses are most likely to be responsible for this retinitis -
1. Herpes simplex
2. Varicella zoster
3. Cytomegalovirus
4. EBV

Correct answer: 3. Cytomegalovirus

Explanation: retinitis&multiple hemorrhage inHIV id due to CMV REF:MICROBIOLOGY ANANTHA NARAYANAN NINTH EDITION PAGE.473 case-3